A retrobulbar anaesthetic is least likely to produce anaesthesia of which cranial nerve?
1. 2
2. 3
3. 4
4. 6

Correct answer: 3. 4

Explanation: Retrobulbar anaesthesia: 4th cranial nerve lies outside the muscle cone in orbit and the least likely to get paralysed by retrobulbar anesthesia. Main goal of this procedure is to obtain anesthesia of the cornea, uvea, and conjunctiva, as well as akinesia of the extraocular muscles by blocking the ciliary nerves and II, III, VI cranial nerves,